In sickle cell crisis bone pain is due to:
1. Bone infarction
2. Osteroporosis
3. Osteomalacia
4. Periosteal reaction

Correct answer: 1. Bone infarction

Explanation: In sickle cell crisis bone pain is due to bone infarction. RBC are sticky, so branching blood vessels gets occluded leading to infarction. "Fish mouth vertebra" seen in sickle cell anemia.